Which drug is most commonly used world wide in maintenance treatment for opioid dependence:
1. Naltrexone
2. Methadone
3. Imipramine
4. Disulfiram

Correct answer: 2. Methadone

Explanation: B i.e. Methadone